Symmetrical multiple lesions are seen in which type of leprosy -
1. Borderline
2. Neuritic
3. Lepromatous
4. Tobercular

Correct answer: 3. Lepromatous

Explanation: in lepromatous leprosy skin lesions are numerous widely disseminated and symmetrically distributed. Rest all are asymmetrical distribution. Lesions can be macules/papules/plaques/nodules Reference IADVL's concise textbook of dermatology page 2046